Feature of fetal RBC in adult -
1. Alkali denaturation resistant
2. Small in size
3. Has more 2,3 DPG level
4. More iron than adult RBC.

Correct answer: 1. Alkali denaturation resistant

Explanation: Ans. is 'a' Alkali denaturation resistant Features of fetal RBCs.It contains less 2,3 DPG*It is alkali denaturation resistant*It is larger in size than adult RBC*It contains less iron than adult RBC*